A 6 year old child with IQ of 50. Which of the following can the child do?
1. Identify colours
2. Read a sentence
3. Ride a bicycle
4. Copy a triangle

Correct answer: 1. Identify colours

Explanation: IQ is defined by as the mental age divided by the chronological age multiplied by 100. In this case, a child of 6 years of age with an IQ of 50%, means that his mental age is that of a 3 year old child. At 3 years of age, a child can identify two colours. Ref: Essential paediatrics by OP Ghai, 6th edition, Page 543.